Nephrocalcinosis is seen in all except:
1. Sarcoidosis
2. Distal A
3. Milk alkali syndrome
4. Medullary cystic kidney

Correct answer: 4. Medullary cystic kidney

Explanation: Nephrocalcinosis Diffuse deposition of calcium salts in the interstitium of the kidney associated with sarcoidosis, milk alkali syndrome and distal renal tubular acidosis Not associated with medullary cystic kidney. (DISTAL A= TYPE ONE A =STONE )